Arden index is related to -
1. ERG
2. EOG
3. VER
4. Perimetry

Correct answer: 2. EOG

Explanation: Answer- B. EOG Arden index is related to ElectrooculographyInterpretation of results:- Results of EOG are interpreted by finding out the Arden ratio as follows :Normal curve values are 185 or above.Subnormal curve values are less than 150.Flat curve values are less than 125.